The most common site of esophageal adenocarcinoma is:
1. Upper 1/3rd
2. Middle 1/3rd
3. Lower 1/3rd
4. Upper 2/3rd

Correct answer: 3. Lower 1/3rd

Explanation: Answer is C (Lower 1/3rd) The most common site of adenocarcinoma esophagus is the lower 1/3rd of esophagus Esophageal Adenocarcinoma invariably arises from Barret's esophagus (Barret's ulcer) which is characteristically located in the distal esophagus around the gastroesophageal junction.